Which of the following is x-linked recessive
1. G-6-PD deficiency
2. Neurofibromatosis
3. Thalassemia
4. Alkaptonuria

Correct answer: 1. G-6-PD deficiency

Explanation: Ans. is 'a' i.e., G-6-PD deficiency